A 43-year-old woman visits the outpatient clinic with a neurologic problem. Diagnostically, she cannot hold a piece of paper between her thumb and the lateral side of her index finger without flexing the distal joint of her thumb. This is a positive Froment sign and a diagnosis of ulnar neuropathy. Weakness of which specific muscle causes this sign to appear?
1. Flexor pollicis longus
2. Adductor pollicis
3. Flexor digiti minimi
4. Flexor carpi radialis

Correct answer: 2. Adductor pollicis

Explanation: Froment's sign is positive for ulnar nerve palsy. More specifically it tests the action of the adductor pollicis muscle. The patient is asked to hold a sheet of paper between the thumb and a flat palm. The flexor pollicis longus is innervated by the anterior interosseous branch of the median nerve. The flexor digiti minimi is innervated by the deep branch of the ulnar nerve and would not be used to hold a sheet of paper between the thumb and palm. The flexor carpi radialis is innervated by the median nerve, and the extensor indicis is innervated by the radial nerve.